Ochsner Sherren regimen is used in:
1. Appendicular abscess
2. Appendicular mass
3. Acute appendicitis
4. Pelvic abscess

Correct answer: 2. Appendicular mass

Explanation: Ans: B i.e. Appendicular mass Management of appendicitis & complications Ultrasound or abdominal CT scan may identify an area suitable for insertion of a percutaneous drain in cases of appendix abscess. Should this prove unsuccessful, laparatomy through a midline incision is indicated If an appendix mass is present & the condition of the patient is satisfactory, the standard treatment is the conservative Ochsner-Sherren regimen. The treatment of acute appendicitis is appendicectomy Treatment of pelvic abscess is transrectal drainage under general anaesthetic.